In the court of law, the act of witness giving false evidence after taking oath is punishable under
1. 191 IPC
2. 192 IPC
3. 193 IPC
4. 197 IPC

Correct answer: 3. 193 IPC

Explanation: 191 IPCDefinition of perjury192 IPCFabrication of evidence193 IPCPunishment of perjury197 IPCPunishment for issuing false certificates